Disulfiram mechanism of action ?
1. Stimulates alcohol dehydrogenase
2. Stimulates aldehyde dehydrogenase
3. Inhibits aldehyde dehydrogenase
4. Inhibits dopamine oxidase

Correct answer: 3. Inhibits aldehyde dehydrogenase

Explanation: Ans. is 'c' i.e., Inhibits aldehyde dehydrogenase